Foot ulcers secondary to arterial insufficiency are successfully treated by all of the following techniques except:
1. Debridement of devitalized tissue
2. Elevation of the affected extremity
3. Antibiotic administration
4. Bed rest

Correct answer: 2. Elevation of the affected extremity

Explanation: Elevation of the affected extremity will decrease perfusion and causes ischemia. ARTERIAL ULCER Arterial insufficiency ulcers ischemic ulcers are mostly located on the lateral surface of the ankle or the distal digits Most common on distal ends of limb Etiology Caused by lack of blood flow to the capillary beds of lower extremities Most often endothelial dysfunction is causative factor in diabetic microangiopathy & macroangiopathy Characteristic features Punched out appearance Pulses are not palpable Associated skin changes (thin shiny skin, absence of hair, brittle nails) Diagnosis The lesion can be easily identified clinically Arterial doppler & pulse volume recording for baseline assessment of blood flow Radiography may be necessary to rule out osteomyelitis Treatment Vascular surgery to revascularize the area In infection Antibiotics + Debridement